Which of the following is secreted by classically activated macrophages (M1)?
1. IL-1
2. IL-2
3. IL-4
4. IL-3

Correct answer: 1. IL-1

Explanation: Classically activated macrophages (M1 cells) produce Interleukin (IL)-1 IL-12 IL-23 Chemokines Reactive oxygen species Nitric oxide Lysosomal enzymes